Name of mumps vaccine is -
1. Jeryl Lynn
2. Edmonshon zagreb
3. Schw'atz
4. Moraten

Correct answer: 1. Jeryl Lynn

Explanation: Ans. is 'a' i.e., Jeryl lynn VaccineStrainso RubellaRA27/3o MeaslesEdomonston Zagreb strain (most common) Schwarts strain Mortaten straino MumpsJeryll Lynn straino Chicken poxOKA strainoBCGDanish 1331o JENakavam strain (MC), Beizing P3 strain, SA 14-14-2o Yellow fever17 Do MalariaSPf.66,Pf25o HIVmvA (modified vaccinia ankara) rAAV (recombinant adeno associated viral) AIDSVAX Subunit vaccine strain